Most sensitive method to diagnose thyroid function is:
1. T3
2. T4
3. TSH
4. Thyroglobulin

Correct answer: 3. TSH

Explanation: Ans. (c) TSHRef: Bailey and Love Principles and Practice of Surgery, 26th ed p-743* Most sensitive and specific test to detect hypothyroidism and hyperthyroidism is TSH ASSAY* Total T4: Reflects output from thyroid gland* Total T3: More indicative of peripheral thyroid metabolism, hence not useful for screening